Damage to which of the following structures might produce hair cell loss?
1. Basilar membrane
2. Organ of Corti
3. Reissner's membrane
4. Scala tympani

Correct answer: 2. Organ of Corti

Explanation: The structure of the cochlea is complex. The organ of Corti contains hair cells from the cochlear branch of the vestibulocochlear nerve (CN VIII). These cells rest on the basilar membrane , which separates the scala tympani from the scala media. The hairs of the hair cells are embedded in the tectorial membrane, and movement of the basilar membrane below the cells tends to bend the hairs, which generates action potentials by the hair cells. The tectorial membrane that lies on the hair cells does not form a boundary between the different scala; the membrane separating the scala media from the scala vestibuli is Reissner's (vestibular) membrane .